PAN is associated with -
1. Hepatitis A
2. Hepatitis B
3. Hepatitis C
4. Hepatitis E

Correct answer: 2. Hepatitis B

Explanation: Immune-complex glomerulonephritis is another recognized extrahepatic manifestation of chronic hepatitis C)
"Immune complex-mediated extrahepatic complications of chronic hepatitis C are less common than in chronic hepatitis B, with the exception complications unrelated to immune-complex injury'.
These include Sjogren’s syndrome, lichen planus and porphyria cutanea tarda”- Harrison 17th/1963 "Extrahepatic complications of chronic hepatitis B similar to those seen during the prodromal phase of acute hepatitis B, is associated with deposition of circulating hepatitis B antigen-antibody immune complexes. These include arthralgias and arthritis which are common, and the more rare purpuric cutaneous lesions (leukocytoclastic vasculitis), immune-complex glomerulonephritis, and generalized vasculitis (polyarteritis nodosa'?) - Harrison 17th/1957
“While polyarteritis nodosa develops in considerably fewer than 1% of patients with chronic HBV infection, 20-30% of patients with polyarteritis nodosa have HBsAg in serum"- Harrison 17th/1938
Extrahepatic manifestations in Viral Hepatitis C: Hepatology' by Kuntz2nd/443

Agran ulocytosis
Aplastic anaemia
Corneal ulceration
Cryoglobulinemia
Diabetes meilitus (type I)
Erythema exsudativum multiforme Glomerulonephritis Guillain-Barre syndrome
Hyperlipasaemia
Lichen planus 1J
Non-Hodgkin lymphoma Polyarteritis nodosa Polyarteritis Polyneuritis Porphyria cutanea tarda
Sialadenitis
Sjogren's syndrome/Sicca syndrome
Thrombocytopenia
Thyroiditis